Acute Infective Endocarditis with abscess formation is most common associated with -
1. Listeria
2. Staphylococcus
3. Streptococcus
4. Enterococcus

Correct answer: 2. Staphylococcus

Explanation: Ans. is 'b' i.e., Staphylococcus o Acute Infective Endocarditis with abscess formation is most commonly associated with staphylococcus.# 'The most common organism causing acute infective endocarditis overall is staphylococcus aureus. Staphyloccoccus aureus endocardiitis is particularly virulent and associated with annular and myocardial abscess formation and a higher mortality!'.# Abscesses mav also occur with enterococcus but are more common with enterococcus but are more common with staphylococcus.